A 30- year old woman with family history of hearing loss from her mother's side developed hearing loss which is bilateral, slowly progressive, Pure tone audiometry bone conduction hearing loss with an apparent bone conduction hearing loss at 2000 Hz. What is the most likely diagnosis?
1. Otosclerosis
2. Acoustic neuroma
3. Otitis media with effusion
4. Sigmoid sinus thrombosis

Correct answer: 1. Otosclerosis